OCP's are contraindicated in all except :
1. Intermittent vaginal bleeding
2. Uterine fibroids
3. H/0 thromboembolism
4. Cardiac abnormalities

Correct answer: 2. Uterine fibroids

Explanation: Uterine fibroids